End organ for vision is-
1. Bipolar cell
2. Ganglion cell
3. Rods and cones
4. Lateral geniculate body

Correct answer: 3. Rods and cones

Explanation: Ans. (c) Rods and conesRef: Sunita Agrawal 2/e, p. 309"The end organ of the visual pathway is the neural epithelium of rods and cones"